Two cell two gonatotropin hypothesis is ?
1. FSH & LH inhibits the release of estrogen and progesterone
2. FSH acts on granulosa cell and LH on theca cells
3. FSH stimulates estrogen while LH inhibits estrogen
4. FSH feedback inhibits hypothalmus, while LH feadback inhibits pituitary

Correct answer: 2. FSH acts on granulosa cell and LH on theca cells

Explanation: Ans. is 'b' i.e., FSH acts on granulosa cell and LH on theca cells The "Two-cell, two-gonadotropin" theory proposes that two cells (i.e. theca cells and granulosa cells) and the two gonadotropins (i.e. FSH and LH) stimulate estrogen synthesis. i) FSH stimulate granulosa cells to secrete estrogen. ii) LH helps indirectly in secretion of estrogen. LH stimulates theca interna cells to increase the synthesis of androgens which are taken up by granulosa cells and converted to estrogen by aromatase.